Screening by using maternal serum alpha fetoproteins helps to detect all of the following except:
1. Neural tube defects
2. Duodenal atresia
3. Talipes equinovarus
4. Omphalocele

Correct answer: 3. Talipes equinovarus

Explanation: Elevated Levels

Error in dates
Multifetal pregnancy
Severe oligohydramnios
Neural tube defects
Pilonidal cysts
Esophageal or intestinal obstruction (and atresia)
Liver necrosis
Cystic hygroma
Sacrococcygeal teratoma
Fetal death
Abdominal wall defects:

– omphalocele
– gastroschisis

Urinary obstruction
Renal anomalies:

– polycystic kidney
– absent kidneys

Congenital nephrosis
Osteogenesis imperfecta
Congenital skin defects
Cloacal exstrophy
Chorioangioma of placenta
Low birth weight
Placental abruption
Placenta accreta
Preeclampsia
Improper adjustment for low maternal weight
Maternal hepatoma or teratoma

Low Levels

G: Gestational trophoblastic diseases
O2: Overestimated gestational age, overweight mother
A: Spontaneous abortion
T: Trisomy (21 or 18)